Activation of protein kinase-C causes
1. Increase adenylyl cyclase
2. Phosphorylation of proteins
3. Increased cAMP
4. Increased ion channel conduction

Correct answer: 2. Phosphorylation of proteins

Explanation: Protein kinase C, commonly abbreviated to PKC (EC 2.7.11.13), is a family of protein kinase enzymes that are involved in controlling the function of other proteins through the phosphorylation of hydroxyl groups of serine and threonine amino acid residues on these proteins, or a member of this family.